Main treatment of congenital laryngeal stridor is:
1. Tracheostomy
2. Steroid therapy
3. Reassurance to the child's parents
4. Amputating epiglottis

Correct answer: 3. Reassurance to the child's parents

Explanation: (c) Reassurance to the child's parents(Ref. Current Diagnosis & Treatment Otolaryngology, Lalwani, 3rd ed., 483; Scott Brown, 8th ed., Vol 2; 334)